In cases of Perforating stab wound which of the following is true?
1. Inverted entry wound and everted entry wound
2. Everted entry and exit wound
3. Inverted entry wound and everted exit wound
4. Everted entry wound and inverted exit wound

Correct answer: 3. Inverted entry wound and everted exit wound

Explanation: Entry wounds are inverted and everted exit wounds. Entry wounds are generally larger than exit wounds.